Lumpy feeling in throat relieved on taking food is attributed to?
1. Globus pharyngeus
2. Pharyngeal pouch
3. Diverticular disease
4. Oesophageal atresia

Correct answer: 1. Globus pharyngeus

Explanation: Globus pharyngeus: A functional disorder where the patient complains of "lump" in the throat. There is no true dysphagia. In fact, the feeling of the lump is more marked between the meals rather than during a meal. Such a patient may have a fear of cancer in the throat. Clinical examination of the pharynx, larynx and base of the tongue is normal. Treatment: Reassurance to the patient when no cause has been found. (Ref: Textbook if diseases of ENT, PL Dhingra, 7th edition, pg no. 389)